Which muscle of larynx is not supplied by recurrent laryngeal nerve-
1. Vocalis
2. Thyroarytenoid
3. Cricothyroid
4. Interarytenoid

Correct answer: 3. Cricothyroid

Explanation: Ans. C. Cricothyroida. The larynx is innervated by the internal and external branches of the superior laryngeal nerve, the recurrent laryngeal nerve and sympathetic nerves.b. The internal laryngeal nerve is described as sensory, the external laryngeal nerve as motor, and the recurrent laryngeal nerve as mixed.c. The internal laryngeal nerve is sensory down to the vocal cords, the recurrent laryngeal nerve is sensory below the vocal cords, and there is overlap between the territories innervated by the two nerves at the vocal cords themselves.d. All the intrinsic muscles of the larynx are supplied by the recurrent laryngeal nerve except for cricothyroid, which is supplied by the external laryngeal nerve.